Which one is not radiosensitive -
1. Ewing's sarcoma
2. Lymphoma
3. Seminoma testis
4. Osteosarcoma

Correct answer: 4. Osteosarcoma

Explanation: Ans is 'd' ie Osteosarcoma The question should have been framed differently - which one is least radiosensitive. Osteosarcoma is least radiosensitive out of the four. Radiosensitivity of different tumors A) Highly Sensitive C) Relatively resistant Lymphoma* Sq cell Ca of lung Seminoma* Hypernephroma* Myeloma* Ewings* Rectal Carcinoma , Bladder carcinoma Wilms tumor Soft tissue sarcoma Ca cervix* B) Moderately sensitive D) Highly resistant Small cell Ca of lung* Melonaoma* Breast cancer Osteosarcoma* Basal cell Ca* Pancreatic* Medulloblastoma Teratoma Ovarian cancer